Hyperkalemia is caused by:
1. N20
2. Atracurium
3. Succinyl choline
4. Pancuronium

Correct answer: 3. Succinyl choline

Explanation: Ref: A jay Yadav, Short Textbook of Anaesthesia, Page 86 and Miller Textbook of Anaesthesia, 6th editionExplanation:SYSTEMIC EFFECTS OF SUCCINYL CHOLINECardiovascular system - Profound bradycardia.Hyperkalemia - Due to excessive muscle fasciculations.CNS - Increases intracranial tension.Eye - Increases intraocular tension.GIT - Increases intragastric pressure, increases salivation, gastric secretions and peristalsis.Muscle pains - Due to excessive muscle contractions.Malignant hyperthermia-SCh is the most common drug causing this.Anaphylaxis.Masseter spasm.